Most common anorectal fistula:
1. Inter sphincteric
2. Trans sphincteric
3. Supra sphincteric
4. Extra sphincteric

Correct answer: 1. Inter sphincteric

Explanation: PARK'S CLASSIFICATION Type 1 Inter- sphincteric (MC) Type 2 Trans- sphincteric Type3 Supra- sphincteric Type4 Extra- sphincteric Investigations - First investigation - Fistulogram - IOC- MRI Treatment High morbidity * Fistulotomy -Incision over fistula tract it * Fistulectomy- Excision of fistula tract. * SETON * VAAFT (Video Assisted Anal Fistula Treatment